Type of Cementum located in the furcation areas of multi-rooted teeth is
1. Cellular Extrinsic fiber cementum
2. Cellular Intrinsic fiber cementum
3. Cellular Mixed Stratified cementum
4. Acellular Intrinsic fiber cementum

Correct answer: 3. Cellular Mixed Stratified cementum